Which of the following statements is FALSE regarding vincristine?
1. It is an alkaloid
2. Its use is associated with neurotoxicity
3. It does not cause alopecia
4. It is a useful drug for induction of remission in acute lymphoblastic leukemia

Correct answer: 3. It does not cause alopecia

Explanation: Ans. (C) It does not cause alopecia(Ref: KDT 8th/e p924)Vincristine is a vinca alkaloid.It is used for the induction of remission in ALL.It is a marrow sparing drug but causes peripheral neuropathy, alopecia and SIADH as adverse effects.